Hemiparesis is NOT a feature of:
1. Carotid artery occlusion
2. MCA occlusion
3. AC A occlusion
4. Vertebral artery occlusion

Correct answer: 4. Vertebral artery occlusion

Explanation: Patients with vertebral artery occlusion may present as posterior inferior cerebellar artery syndrome with cerebellar and brainstem signs such as dysarthria, iplsilateral limb ataxia, vertigo, nystagmus, ipsilateral Horner's syndrome, ipsilateral loss of pain and temperature of face, ipsilateral pharyngeal and laryngeal paralysis, contralateral loss of pain and temperature in limbs and trunk. Occlusion of stem of middle cerebral artery results in contralateral hemiplegia, contralateral hemianopia, contralateral hemianesthesia, aphasia, contralateral neglect and dressing difficulties. Occlusion of ACA, distal to anterior communicating artery result in contralateral leg weakness, contralateral leg sensory loss and urinary incontinence. Occlusion of ACA proximal to ACCA result in bilateral leg weakness, sensory loss, urinary incontinence, and frontal release signs. Ref: Laboratory Medicine in Psychiatry and Behavioral Science By Sandra A. Jacobson page 567.